Misoprostol is indicated in all of the following except:
1. Postpartum hemorrhage
2. Missed abortion
3. Induction of labour
4. Menorrhagia

Correct answer: 4. Menorrhagia

Explanation: Ans. D: Menorrhagia Misoprostol is commonly used for labor induction. It causes uterine contractions and the ripening (effacement or thinning) of the cervix. Misoprostol is more effective in starting labor than other drugs used for labor induction. It is also significantly less expensive than the other commonly used agents. Misoprostol is one of the drugs used for medical abortions in lieu of surgical evacuation. The advantages of medical abortion over surgical abortion include reduced invasiveness of the procedure, lack of risks from general anesthesia (which is often used for surgical abortions), and lack of risk of secondary infertility due to scarring and intrauterine adhesions (Asherman's Syndrome). Misoprostol can also be used to dilate the cervix in preparation for a surgical abortion, particularly in the second trimester (either alone or in combination with laminaria stents). Misoprostol is sometimes used to treat early fetal death in the absence of spontaneous miscarriage. Misoprostol is also used to prevent and treat post-partum hemorrhage, but it has more side effects and is less effective than oxytocin for this purpose.